Drug safely given in Pregnancy -
1. Antifolate
2. Quinine
3. Chloroquine
4. Primaquine

Correct answer: 3. Chloroquine

Explanation: Ans. is 'c' i.e., Chloroquine